A person has restricted eye movements in all directions, ptosis but no squint or diplopia. What is the diagnosis?
1. Myasthenia
2. CPEO
3. Multiple cranial nerve palsy
4. Thyroid myopathy

Correct answer: 2. CPEO

Explanation: Chronic progressive external ophthalmoplegia (CPEO)CPEO is a mitochondriopathy. There is slowly progressive weakness of all the ocular muscles with a variable degree of motility disorders and corresponding double vision, and subsequently there is also involvement of the limb muscles.